Ocular associations of primary open-angle glaucoma include all except:
1. Central retinal vein occlusion
2. Central retinal artery occlusion
3. Retinal detachment
4. Retinitis pigmentosa

Correct answer: 2. Central retinal artery occlusion

Explanation: Ans. Central retinal artery occlusion